Phenylbutyrate is used in urea cycle disorders because it
1. Scavenges nitrogen
2. Activates enzymes
3. Maintains renal output
4. Maintains energy production

Correct answer: 1. Scavenges nitrogen

Explanation: In all urea cycle disorders there is accumulation of NH3 (hyperammonemia) which is very toxic and has to be removed Using scavenging agents:- One of the treatment of urea cycle disorder is the use of NH3 scavenging agents These are Phenylbutyrate and Sodium benzoate Phenyl butyrate reacts with glutamine to get converted in to phenyl acetyl glutamine which can be excreted. Other method to treat urea cycle disorders: Give Arginine (1st line Treatment ) An essential amino acid Provides ornithine (required in 2nd step of urea cycle) Activator of NAGS But it is contraindicated in Arginase deficiency Restrict protein intake to 50% of normal